Pancytopenia with hypercellular marrow is due all EXCEPT:
1. Myelodysplasia
2. Paroxysmal nocturnal hemoglobinuria
3. Sarcoidosis
4. Dyskeratosis congenital

Correct answer: 4. Dyskeratosis congenital

Explanation: Dyskeratosis congenital REF: Harrison's Internal Medicine 17th ed > Chapter 102, table 102-1 Differential Diagnosis of Pancytopenia Pancytopenia with Hypocellular Bone Marrow Acquired aplastic anemia Constitutional aplastic anemia (Fanconi's anemia, dyskeratosis congenita) Some myelodysplasia Rare aleukemic leukemia (AML) Some acute lymphoid leukemia Some lymphomas of bone marrow Pancytopenia with Cellular Bone Marrow Primary bone marrow diseases Secondary to systemic diseases Myelodysplasia * Systemic lupus erythematosus Paroxysmal nocturnal hemoglobinuria * Hypersplenism Myelofibrosis * B12, folate deficiency Some aleukemic leukemia * Overwhelming infection Myelophthisis * Alcohol Bone marrow lymphoma Hairy cell leukemia * Brucellosis Sarcoidosis Tuberculosi Leishmaniasis Hypocellular Bone Marrow +- Cytopenia Q fever Legionnaires' disease Anorexia nervosa, starvation Mycobacteria